Right hepatic duct drains all, except-
1. Segment I
2. Segment III
3. Segment V
4. Segment VI

Correct answer: 2. Segment III

Explanation: Segments V, and VI are part of the right hepatic lobe and are therefore drain into the right hepatic duct.
Segments III is a part of the left hepatic lobe and is, therefore, drains into the left hepatic duct.
Segment I (Caudate lobe), though anatomically is a part of the left lobe, is functionally is part of both right arid left lobes because it receives blood from the right and left hepatic arteries, and right and left branches of the portal vein and drains bile into both right and left hepatic duct.